A case of Non - Insulin dependent diabetes mellitus {NIDDM} with a history of diabetes for one year should have an ophthalmic examination?
1. As early as feasible
2. After 5 years
3. After 10 years
4. Only after visual symptoms develop

Correct answer: 1. As early as feasible

Explanation: Screening for diabetic retinopathy To prevent visual loss occurring from diabetic retinopathy a periodic follow-up is very important for a timely intervention. The recommendations for periodic fundus examination are as follows : First examination, 5 years after diagnosis of type 1 DM and at the time of diagnosis in type 2 DM. Every year, till there is no diabetic retinopathy or there is mild NPDR. Every 6 months, in moderate NPDR. Every 3 months, in severe NPDR Every 2 months, in PDR with no high-risk characteristics. Ref;A.K.Khurana; 6th edition; Page no: 280